Most common lymph node involved in Hodgkin's lymphoma is?
1. Inguinal
2. Cervical
3. Axillary
4. Subclavian

Correct answer: 2. Cervical

Explanation: Ans. (b) CervicalRef: Wintrobe's clinical hematology 12/e, chapter 96, Table 96.3, William's hematology 8/e, ch 99